Drug of choice for infantile spasms in a child with Tuberous sclerosis is:
1. Diazepam
2. ACTH
3. Levetiracetam
4. Vigabatrin

Correct answer: 4. Vigabatrin

Explanation: Drug of choice for infantile spasms in a child with Tuberous sclerosis is Vigabatrin. D.O.C for infantile spasm is ACTH inj.